A patient has carcinoma of right tongue on its lateral border of anterior 2/3 rd, with lymph node of size 4 cm in level 3 on left side of the neck, stage of disease is:
1. N0
2. N1
3. N2
4. N3

Correct answer: 3. N2

Explanation: Since this patient's cancer has spread to ipsilateral lymph node and is greater than 3cm in size he falls under stage 2a of cancer of oral cavity. N0: There is no evidence of regional metastasis N1: Metastasis occur to a single ipsilateral lymph node, 3 cm or less in greatest dimension N2a: Metastasis in single ipsilateral lymph node, >3 cm and N2b: Metastasis occur in multiple ipsilateral lymph nodes, all nodes N2c: Metastasis occur in bilateral or contralateral lymph nodes, all nodes